The most common cause of delayed umbilical cord separation is
1. Raspbery tumour
2. Leukocyte adhesion deficiency
3. Patent urachus
4. Umbilical granuloma

Correct answer: 2. Leukocyte adhesion deficiency

Explanation: Leukocyte adhesion deficiency may present with recurrent bacterial infections, defects in neutrophil adhesion, and a delay in umbilical cord sloughing. All other options given are various umbilical pathologies, but not related to delayed sloughing of cord